A lady presents with right knee swelling.Aspiration was done in which CPPD crystals were obtained.Next best investigation is
1. ANA
2. RF
3. CPK
4. TSH

Correct answer: 4. TSH

Explanation: Secondary CPPD deposition is associated with hypothyroid,hence TSH level should be assessed. Other conditions: Hyperparathyroidism Hemochromatosis Hypophosphaemia Hypomagnesemia Diabetes